Oral hypoglycemic safely given in pregnancy is
1. Metformin
2. Sitagliptin
3. Glimepride
4. Pioglitazone

Correct answer: 1. Metformin

Explanation: Oral hypoglycemic drugs have found to be effective and safe. Commonly used drugs are Glibenclamide and metformin. Both the drugs cross the placenta However, No teratogenic effect has been observed yet. Glibenclamide appears to be superior when compared to metformine. Reference: DC.Duttas textbook of OBG,9th edition,page 267